A lady has history of previous child birth with neural tube defect. What is the dose of folic acid to be given to prevent to neural tube defect in this child
1. 4000 mcg in periconceptional period
2. 400 mg after confirmation of pregnancy
3. 400 mg in periconceptional period
4. 4000 mcg in 1st / 2nd trimester.

Correct answer: 1. 4000 mcg in periconceptional period

Explanation: Dose of folic acid for primary prevention is 400 mcg / day
Dose of folic acid for secondary prevention (prevoius child affected with neural tube defect) is 4000 mcg / day started in periconception period = 1 month before to 3 months after conception.